Clinical signs of Hydramnios can be demonstrated when fluid collection is more than :
1. 1 Itr.
2. 2 ltr.
3. 3 ltr.
4. 4 ltr.

Correct answer: 2. 2 ltr.

Explanation: 2 ltr.